The stapes is embryologically derived from the following pharyngeal arch?
1. 1st arch
2. 2nd arch
3. 3rd arch
4. 4th arch

Correct answer: 2. 2nd arch

Explanation: The second pharyngeal arch gives rise to,Reichert cartilage, which eventually forms the manubrium of the malleusLong process of the incusStapes suprastructureTympanic portion of the stapes footplate (ossicle portions below upper limit tympanic membrane)The stapes requires the longest period of development and is therefore the most frequently malformed. The earliest stages of development begin at 4 weeks, and ossification does not occur until week 26. The vestibular portion of the stapes footplate derives from the otic capsule.